If TFR in a population is 4, then GRR would be (approx.)
1. 2
2. 4
3. 8
4. 16

Correct answer: 1. 2

Explanation: - GRR or NRR= 1/2 TFR (approx.) - In given question, TFR is 4; hence GRR is half of 4 = 2